A young, tall, thin, male with archnodactyly has ectopia lentis in both eyes. The most likely diagnosis is
1. Marfan's syndrome
2. Marchesani's syndrome
3. Homocystinuria
4. Ehler's danlos syndrome

Correct answer: 1. Marfan's syndrome

Explanation: Answer is A (Marfan's syndrome): Arachnodactyly and ectopia lends (dislocation of lens) in tall thin male suggests a charachteristic diagnosis of Marfan's syndrome. Marfan Syndrome : Review Marfan's syndrome is a genetic disorder of the connective tissue of the body manifested principally by changes in the skeleton, eye and cardiovascular system.